True about endometrial carcinoma:
1. Predisposed by diabetes mellitus, hypertension and obesity.
2. Adenosquamous type is most common.
3. Commonly associated with Ca cervix.
4. Common age group affected is between 20 and 40 years.

Correct answer: 1. Predisposed by diabetes mellitus, hypertension and obesity.

Explanation: Endometrial cancer:

Let’s see each option regarding endometrial cancer one by one:
Predisposed by diabetes mellitus, hypertension and obesity correct
Adenosquanous type is most common-incorrect as the most common variant is adenocarcinoma
Commonly associated with cancer cervix incorrect as cancer cervix and endometrial cancer are not related to each other.
Common age group affected is between 20 and 40 years incorrect as endometrial cancer occurs in postmenopausal females (6th-7th decade).